There is a high risk of renal dysplasia in
1. Posterior urethral valve.
2. Bladder exstrophy
3. Anorectal malformation
4. Neonatal sepsis

Correct answer: 1. Posterior urethral valve.

Explanation: Ans. is 'a' Posterior urethral valve The term renal dysplasia is technically a histological diagnosis. It occur due to abnormality in metanephric differentiation and is characterized histologically by the persistence in the kidney of abnormal structures - cartilage, undifferentiated mesenchyme and immature collecting ductules and by abnormal lobar organization.C/F of Renal dysplasiaIt can be unilateral or bilateral and is almost always cysticKidney is enlarged, extremely irregular and multicystic. (presents as a flank mass)In unilateral dysplastic kidney the prognosis is good, where as in B/L dysplastic kidney renal failure may ultimately result.Dysplastic kidney is associated with -posterior urethral valve (as part of VURD syndrome)V - posterior urethral valves U - unilateral refluxR & D- renal dysplasiaUretero pelvic obstructionUreteral agenesis or atresiaOther anomalies of lower urinary tract.